Blunt injury to eye causes recession of angle of the eye because of?
1. Tear of the ciliary body
2. Schlemm canal split
3. Trabecular meshwork split
4. Dislocation of the lens

Correct answer: 1. Tear of the ciliary body

Explanation: Ans. (a) Tear of the ciliary bodyRef Kanski 7/e, p. 880 - 881Tears extending into the face of the ciliary body (angle recession) are associated with a risk of later glaucoma.